Flaring of anterior ends of the ribs is characteristically seen in
1. Neurofibromatosis
2. Scurvy
3. Rickets
4. Hypothyroidism

Correct answer: 3. Rickets

Explanation: C i.e. Rickets Flaring of anterior ends of rib is charcteristically seen in ricketsQ and beaded ribs are found in osteogenesis imperfectaQ. Other causes of multiple anterior rib flaring are - achondroplasia, scurvy, thanatophoric dysplasia & normal variants.